Regression of Mullerian duct in males occurs at:
1. 5 weeks
2. 6 weeks
3. 7 weeks
4. 8 weeks

Correct answer: 4. 8 weeks

Explanation: Ans. is d, i.e. 8 weeksRef: Leon Speroff 8th/ed, p342"AMH gene expression is induced by SOX-9 in sertoli cells and results in the ipsilateral regression of mullerian ducts by 8 weeks in males"